True about GABA:
1. Excitatory neurotransmitter
2. Inhibitory neurotransmitter
3. Facilitatory neurotransmitter
4. None

Correct answer: 2. Inhibitory neurotransmitter

Explanation: Ans. (b) Inhibitory neurotransmitter Ref: Guyton's physiology 11th ed. / 563 * GABA (gamma-aminobutyric acid) is secreted by nerve terminals in the spinal cord, cerebellum and basal ganglia. It always causes inhibition. Also Know Hormone Source Function Dopamine Neurons in substantia nigra Inhibition GABA Nerve terminals in spinal cord, baralgaylia and cerebeluar Inhibition Glutamate Presynaptic terminal in CNS & cerebral cortex Excitation Serotonin Nuclei that originate in the median Raphe of Braine stern Inhibition of pain pathology Glycine Synapses in spinal cord Inhibition